All of the following statements about primary Gouty ahritisare true, Except
1. 90% of cases are caused by over production of uric acid
2. Uric acid levels may be normal at the time of an acute attack
3. Men are more commonly affected than women (Male> Females)
4. Definitive diagnosis requires aspiration of synovial fluid

Correct answer: 1. 90% of cases are caused by over production of uric acid

Explanation: In over 90% of patients, the main abnormality is reduced uric acidexcretion by the kidney, which is genetically determined. Impaired renal excretion of urate also accounts for the occurrence of hyperuricaemia in chronic renal failure, and for hyperuricaemia associated with thiazide diuretic therapy . The prevalence of gout is approximately 1-2%, with a greater than 5 : 1 male preponderance. Gout has become progressively more common over recent years in affluent societies due to the increased prevalence of obesity and metabolic syndrome . Ref Davidsons 23e p1013